Oxygen affinity increases with
1. Carbon monoxide
2. Acidosis
3. Hypoxia
4. Anemia

Correct answer: 1. Carbon monoxide

Explanation: Oxygen affinity increases with left shift of O2-Hb dissociation curve. It is seen in fetal hemoglobin and carbon monoxide.Oxygen affinity decreases with right shift of O2-Hb dissociation curve. It is seen in hypoxia, high altitude, anemia, acidosis, and exercise.Ref: Medical physiology for UG students, Indu Khurana, page: 328